Peripheral neuropathy as a side effect is caused by which of the following anti cancer drugs :
1. Vincristine
2. Cyclophosphamide
3. Etoposide
4. Irinotecan

Correct answer: 1. Vincristine